Otic ganglion supplies
1. Submandibular gland
2. Lingual gland
3. Parotid gland
4. All three

Correct answer: 3. Parotid gland

Explanation: Sensory root is by the auriculotemporal nerve Sympathetic root is by the sympathetic plexus around middle meningeal artery Secretomotor root is by the lesser petrosal nerve from the tympanic plexus formed by the tympanic branches of cranial nerve IX.Fibres of lesser petrosal nerve relay in the otic ganglion. Postganglionic fibres reach the parotid gland through the auriculotemporal nerve Motor root is by a branch from nerve to medial pterygoid.This branch passes unrelayed through the ganglion and divides into two branches to supply tensor veli palatini and tensor tympani. Ref.BDC volume 3,sixth edition